All are indications for stopping effending ATT drug permanently except
1. Gout
2. Autoimmune thrombocytopenia
3. Optic neuritis
4. Hepatitis

Correct answer: 4. Hepatitis

Explanation: Ans. is 'd' i.e., Hepatitis For patients with symptomatic hepatitis and those with marked (five to six fold) elevations in serum levels of aspartate aminotransferase, treatment should be immediately stopped and drugs reintroduced one at a time after liver function has returned to normal. Indications for stopping the A.T.T. permanently Hyperuricemia and arthralgia Optic neuritis Autoimmune thrombocytopenia